Condition in which there is anterior or posterior displacement of a vertebra in relation to the vertebrae below:
1. Spondylosis
2. Spondylitis
3. Spondylolisthesis
4. Spondylolysis

Correct answer: 3. Spondylolisthesis

Explanation: Ans. (c) SpondylolisthesisRef: Maheshwari 5th ed. / 283-284SpondylosisDegenerative osteoarthritis of the joints between the center of the spinal vertebrae and/ or neural foraminaSpondylitisSpondylitis is an inflammation of the vertebra.It is a form of spondylopathy. In many cases spondylitis involves one or more vertebral joints as well, which itself is called spondylar- thritisSpondylolis- thesisSpondylolisthesis is the anterior or posterior displacement of a vertebra or the vertebral column in relation to the vertebrae belowSpondylolysisDefect of a vertebra. More specifically it is de- fined as a defect in the pars interarticularis of the vertebral arch